True about Boyle's apparatus:
1. Continuous flow machine
2. Liquid anesthetic vapours not used
3. Resistance very high
4. All

Correct answer: 1. Continuous flow machine

Explanation: A i.e. Continuous flow machine